All of the following swellings moves up with deglutition, except:
1. Thyroid swelling
2. Thyroglossal cyst
3. Subhyoid bursal cyst
4. Branchial cyst

Correct answer: 4. Branchial cyst

Explanation: Swellings that move up with deglutition are:

Thyroid swellings
Thyroglossal cyst
Subhyoid bursal cyst or subhyoid bursitis
Enlarged pretracheal lymph nodes that are fixed to trachea
Laryngocele